"Rail Road pattern" in Neuroimaging is seen in :-
1. Tuberous sclerosis
2. Sturge weber syndrome
3. Ataxia Telengiectasia
4. Neurofibromatosis

Correct answer: 2. Sturge weber syndrome

Explanation: Portwine stain is in the distribution of the first branch of the trigeminal nerve is a/w ipsilateral rail road pattern (also known as tram track pattern) of intracranial calcification and glaucoma. -presentation is with contralateral hemiparesis , focal seizures and/or intellectual disability features of Sturge:- weber syndrome includes (a) intracranial calcifications in left hemisphere on CT. ; and (b)Hemi-facial angioma or port wine stain